True regarding surface anatomy of internal jugular vein
1. Line passing from ear lobule to mid pt of clavicle
2. Line passing from ear lobule to medial end of clavicle
3. Line joining ear lobule to lateral end of clavicle
4. Line joining mastoid process to mid pt of clavicle

Correct answer: 2. Line passing from ear lobule to medial end of clavicle

Explanation: Internal jugular vein is marked by a broad line by joining these two points: The first point on the neck medial to the lobule of the ear The second point at the medial end of the clavicle Ref BDC volume 3,Sixth edition pg 303